Patient complains of sudden onset blindness but does not experience any pain, the cause is
1. Glaucoma
2. Cataract
3. Vitreous haemorrhage
4. Age related macular degeneration

Correct answer: 3. Vitreous haemorrhage

Explanation: Ans. is 'c' i.e., Vitreous haemorrhage